Cuff pressure in Endotracheal intubation with prolonged ventilation should be less than?
1. 20 mm Hg
2. 30 mm Hg
3. 40 mm Hg
4. 50 mm Hg

Correct answer: 1. 20 mm Hg

Explanation: Ans. is'a'i.e., 20 mm HgRef.: Miller's Anacs Physiology 7/e Chap. 50Cuff pressure 18-22mmHg (25-30 cm H2O) is recommended.